Area immediately above medial malleolus is called
1. Schlater area
2. Plaiter area
3. Skater area
4. Gaiter area

Correct answer: 4. Gaiter area

Explanation: Area above medial malleolus is called gaiter area.